Goodpasteurs syndrome is
1. Renal failure with lung hemorrhage
2. Renal failure with brain hemorrhage
3. Renal hemorrhage
4. Renal failure

Correct answer: 1. Renal failure with lung hemorrhage

Explanation: Goodpasture Syndrome Goodpasture syndrome is an uncommon autoimmune disease in which lung and kidney injury are caused by circulating autoantibodies against certain domains of type IV collagen that is intrinsic to the basement membranes of renal glomeruli and pulmonary alveoli. Morphology The lungs are heavy and have areas of red-brown consolidation due to diffuse alveolar hemorrhage. Microscopic examination shows focal necrosis of alveolar walls associated with intraalveolar hemorrhage, fibrous thickening of septa, and hypertrophic type II pneumocytes. There is abundant hemosiderin due to earlier episodes of hemorrhage. The characteristic linear pattern of immunoglobulin deposition (usually IgG, sometimes IgA or IgM) that is the hallmark diagnostic finding in renal biopsy specimens also may be seen along the alveolar septa. Ref: ROBBINS BASIC PATHOLOGY 10th ed Pg no: 519